Fundal height is more than period of gestation in all except:
1. Hydramnios
2. IUD
3. Twin pregnancy
4. Hydatidiform mole

Correct answer: 2. IUD

Explanation: Ans. is b, i.e. IUDRef. Dutta Obs. 7/e, p 78Condition where the Height of Uterus is more than the Period of Amenorrhea:Mistaken datesTwinsPolyhydramniosBig babyPelvic tumours - Ovarian/fibroidH moleConcealed accidental hemorrhage.Conditions where the Height of Uterus is less than the Period of Amenorrhea:Mistaken datesScanty liquorFetal growth restrictionIntrauterine fetal death.